All are features of irritable bowel syndrome except -
1. Vomiting
2. Pain abdomen
3. Diarrhoea
4. Constipation

Correct answer: 1. Vomiting